In Still's disease the transient cutaneous rash coinside with the fever spike. The rash is due to:
1. Neutrophil infiltration in the dermis
2. Lymphocyte infiltration in the dermis
3. Eosinophil infiltration in the dermis
4. None of the above

Correct answer: 1. Neutrophil infiltration in the dermis

Explanation: The rash in still's disease is due to neutrophil infiltration in the dermis. Ref: Harrisons Principles of Internal Medicine, 18th Edition, Page 416